A 23-year-old man develops explosive watery diarrhea with blood, fecal leukocytes, and mucus approximately 3 days after eating chicken that was improperly cooked. Curved rods were found in the fecal smear along with red blood cells and leukocytes. Which of the following pathogens is the most likely cause of these symptoms?
1. Campylobacter jejuni
2. Enterotoxigenic E. coli
3. Shigella sonnei
4. Staphylococcus aureus

Correct answer: 1. Campylobacter jejuni

Explanation: Campylobacter jejuni is a pathogen causing an invasive enteric infection associated with ingestion of raw or undercooked food products, or through direct contact with infected animals. Ingestion of contaminated poultry that has not been sufficiently cooked is the most common means of acquiring the infection. The patients typically have bloody diarrhea, abdominal pain, and fever. The presence of fecal leukocytes indicates an invasive infection. The organism is a gram negative rod with a curved "comma-shape" or "S-shape." Enterotoxigenic E. coli causes the classic traveler's diarrhea. The infection is non-invasive and is acquired the fecal-oral route through consumption of unbottled water or uncooked vegetables. The major manifestation is a copious outpouring of fluid from the GI tract presenting as explosive diarrhea. This is due to the action of one of two types of enterotoxins on the GI tract mucosa. Shigella sonnei produces a syndrome very similar to C. jejuni. However, the organism appears as a gram-negative rod on Gram's stain. It does not have a comma shape. Transmission is from person to person the fecal-oral route. Infection requires a low infective dose since the organism is fairly resistant to gastric acidity. Staphylococcus aureus produces food poisoning due to the ingestion of a pre-formed enterotoxin. The organism is present in food that is high in salt content such as potato salad, custard, milk shakes, and mayonnaise. The patient presents with nausea, vomiting, and abdominal pain, followed by diarrhea beginning 1-6 hours after ingestion of the enterotoxin. Ref: Brooks G.F. (2013). Chapter 17. Vibrios, Campylobacters, Helicobacter, and Associated Bacteria. In G.F. Brooks (Ed), Jawetz, Melnick, & Adelberg's Medical Microbiology, 26e.